Most common site of Implantation of tubal pregnancy is :
1. Interstitial portion of fallopian tube
2. Isthmus
3. Ampulla
4. Infundibulum

Correct answer: 3. Ampulla

Explanation: Ampulla